Commonest complication of varicose vein stripping is
1. Thrombo embolism
2. Hemorrhage
3. Ecchymosis
4. Infection

Correct answer: 3. Ecchymosis

Explanation: Ans. is 'c' i.e., Ecchymosis "Complications associated with GSV stripping include ecchymosis, lymphocele formation, DVT, infection, and saphenous nerve injury."- Schwartz 9/e p792